In measles, when do the Koplik's spots appear?
1. On the day that fever occurs
2. On the day that rashes appear
3. 1 -3 days before the rashes appear
4. 1-2 days before the fever occurs

Correct answer: 3. 1 -3 days before the rashes appear

Explanation: In measles ,a prodromal illness,1-3 days before the rash,occurs ,with upper respiratory symptoms ,conjunctivitis , & the presence of the pathognomonic Koplik's spots,small white spots surrounded by erythema on the buccal mucosa. Reference: Harrison20th edition pg 879